In a child with profound mental retardation, what is the IQ?
1. 20-34
2. 35-49
3. 50-69
4. <20

Correct answer: 4. <20

Explanation: Ans. D.<20Level of intelligenceIQProfound MR<20Severe MR20-34Moderate MR35-49Mild MR50-69Borderline70-79Low normal80-89Normal90-108Superior109-119Very superior120-139Near genius>140IQ-<70 - Mental retardation50-70- Mild MR - educable up to 6th class35-49 - Moderate MR - trainable (study up to 2nd class)20-34- Severe MR - specialized care<20 - Profound MR - chronic rehabilitation